Which one of the following diseases is an autosomal dominant disorder
1. Hemochromatosis
2. Phenylketonuria
3. Maturity onset diabetes of the young
4. Glucose-6 phosphate dehydrogenase deficiency

Correct answer: 3. Maturity onset diabetes of the young

Explanation: Maturity-onset diabetes of the young (MODY) is a heterogeneous single gene disorder characterized by non-insulin-dependent diabetes, an early onset and autosomal dominant inheritance.Approximately 15-20% of families fitting MODY criteria do not have mutations in any of the known genes Ref Robbins 9/e pg 155